Which is not a manifestation of congenital toxoplasmosis -
1. Chorioretinitis
2. Hydrocephalus
3. Intracranial calcification
4. Cerebellar atrophy

Correct answer: 4. Cerebellar atrophy